Reserve transcriptase of hepatitis B virus is coded on the following gene :
1. C gene
2. S gene
3. P gene
4. X gene

Correct answer: 3. P gene

Explanation: Answer is C ('P' gene): The reverse transcriptase activity is a property of DNA polymerase which is coded by gene. Genomic structure of Hepatitis B: 'S' Gene 'C' Gene 'P' Gene 'X' Gene Codes for the Codes for two nucleocapsid Codes for DNA polymerase Codes for Hbx Ag. envelope protein. This DNA polymerase has two It is a small non protein, Hbs a. Hbc Ag: The intracellular core acitivities: particulate protein, that Ag. protein. a. DNA dependent DNA can transactivate the b. Hbe Ag: A soluble non particulate nucleocapsid protein. Polymerase b. RNA dependent Reverse Transcriptase. transcription of cellular and viral gene.